Contrast media used in ultrasound is
1. Ultraffin
2. Hexanol
3. Urograffin
4. Echovist

Correct answer: 4. Echovist

Explanation: D. i.e. (Echovist) (39- 42 - Textbook of colour Doppler Imaging S.K. Bhargava)* Iohexol used in Myelography*** Contrast agent (ECHOVIST) have been used to evaluate tubal potency in infertility and ureteric reflux in children with renal tract infectionsContrast agents in Ultrasound* Contrast agents increases shift frequency and echo strength determines the visualization hence act as echoenhancers* Echo- enhancers are microbubbles - levovist, optisan, sonovue* Range of ultrasound frequencies that are used for clinical diagnosis microbubbles at(1 - 7 m diameter) do not diffuse across the endothelium